Triad of skin lesions, asymmetric mononeuritis multiplex and eosinophilia are seen in?
1. Cryoglobulinemic vasculitis
2. Polyarteritis nodosa
3. Churg Strauss Syndrome
4. Giant cell arteritis

Correct answer: 3. Churg Strauss Syndrome

Explanation: Churg Strauss Syndrome Churg Strauss Syndrome is a small vessel vasculitis. Biopsy of affected site reveals small vessel vasculitis with eosinophilic infiltration of vessel wall. Cryoglobulinemic vasculitis Cryoglobulinemic vasculitis presents with rash over lower limbs, arthralgia, Raynaud's phenomenon and neuropathy Polyarteritis nodosa Polyarteritis nodosa presents with fever, myalgia, arthralgia, multisystem involvement and palpable purpura. Giant cell arteritis Cardinal symptom of giant cell arteritis is headache localised to temporal or occipital region. Visual disturbances can occur. Catastrophic presentation is with blindness in one eye. It is commonly associated with polymyalgia rheumatica. Ref: Davidson's Principles and Practice of Medicine, 22nd ed, p1117-1119